Bilateral facial palsy is not seen in
1. Sarcoidosis
2. Ramsay Hunt syndrome
3. Gullian Barre syndrome
4. Melkersen Rosenthal syndrome

Correct answer: 2. Ramsay Hunt syndrome

Explanation: (B) Ramsay Hunt syndrome # Bilateral facial palsy occurs in Gullian Barre syndrome, in a form of sarcoidosis called uveoparotid fever (Heerfordt syndrome) and in bilateral acoustic neuroma.> Facial Neuropathy> An isolated facial palsy may occur in patients with HIV seropositivity, sarcoidosis, or Lyme disease , but most often it is idiopathic (Bell's palsy)> In the Ramsay Hunt syndrome, pain and vesicles appear in the external auditory canal, and patients lose their sense of taste in the anterior two-thirds of the tongue while developing ipsilateral facial palsy. The geniculate ganglion of the sensory branch of the facial nerve is involved.